A postoperative patient with PH 7.25, MAP (mean arterial pressure) 60 mm of Hg treated with ?
1. I.V. sodium bicarbonate
2. Only normal saline
3. Fluid therapy with CVP monitoring
4. fluid restriction

Correct answer: 3. Fluid therapy with CVP monitoring

Explanation: Ans. is 'c' i.e., Fluid therapy with CVP monitoring